Which of the following gives the best description of erupted permanent teeth typically seen in a 9-year old
1. Only molars
2. All teeth except third molars
3. 1,2,4,5,6,7 in all quadrants
4. 1,2,6 in all quadrants

Correct answer: 4. 1,2,6 in all quadrants